Tiger mosquito is ?
1. Anopheles
2. Mansonia
3. Aedes
4. Culex

Correct answer: 3. Aedes

Explanation: Ans. is 'c' i.e., Aedes